A 37 yr old women presents with abdominal mass. On USG, solid Tumor is seen and presents with elevated LDH and HCG. What is the diagnosis?
1. Teratoma
2. Fibroma
3. Dysgerminoma
4. Brenner

Correct answer: 3. Dysgerminoma

Explanation: Tumor marker of Dysgerminoma : LDH (main tumor marker) HCG PLAP Never produce AFP